Supernumerary teeth are formed due to abnormality in:
1. Initiation.
2. Proliferation.
3. Morphodifferentiation.
4. Histodifferentiation.

Correct answer: 1. Initiation.

Explanation: Abnormal initiation may result in the development of single or multiple supernumerary teeth.